All are derivatives of midgut, EXCEPT:
1. Ascending colon
2. Appendix
3. Jejunum
4. Descending colon

Correct answer: 4. Descending colon

Explanation: The midgut is divided into two regions at the omphalo-enteric duct ("yolk stalk"): the cranial and caudal limbs. The derivatives of the cranial limb include the distal duodenum, jejunum, and proximal ileum. The derivatives of the caudal limb include the distal ileum, cecum, appendix, ascending colon, and proximal 2/3 of transverse colon.